At what age does the child who knows his age, gender, name, can draw a circle and make a tower of 9 cubes?
1. 2 years
2. 3 years
3. 4 years
4. 5 years

Correct answer: 2. 3 years

Explanation: Ans. is 'b' i.e., 3 years Important milestones of a 3 years child* Rides tricycle* Knows his age and sex.* Stands momentarily on one foot* Repeat a sentence of 6 syllables* Draws a circle* Has a vocabulary of 250 words* Can dress or undress himself completely* Counts 3 objects correctly* Builds tower of 10 cubes* Can withhold and postpone bowel movement